All of the following type of lymphoma are commonly seen in the orbit except -
1. Non Hodgkin's lymphoma, mixed lymphocytic & histiocytic.
2. Non Hodgkin's lymphoma, lymhocytic poorly differentiated.
3. Burkitt's lymphoma
4. Hodgkin's lymphoma

Correct answer: 4. Hodgkin's lymphoma

Explanation: Most of the lymphomas in the orbit are non-Hodgkin lymphoma. Hodgkin’s lymphoma seldom involves the orbit.